Billing method of contraception is synonymous for ?
1. Rhythm method
2. Basal body temperature method
3. Cervical mucus method
4. Abstinence

Correct answer: 3. Cervical mucus method

Explanation: Ans. is 'c' i.e., Cervical mucus method